Mechanism of digitalis in atrial fibrillation:
1. Decrease in contractility
2. Na+ K+ ATP ase pump inhibition
3. Increase refractoriness of AV node
4. Bradycardia

Correct answer: 3. Increase refractoriness of AV node

Explanation: Ans. C. Increase refractoriness of AV nodeDigoxin is inotropic agent used in heart failure. It has positive inotropic effect and negative chronotropic effect. Inotropic effect is due to blockade of Na+K+ATPase pump. Chronotropic effect is due to vagomimetic effect which increase the refractoriness of AV node. This mechanism is utilized in atrial flutter and fibrillation. Answer is C